Which of the following pathway is seen in basal cell carcinoma
1. mTOR
2. Sonic Hedgehog
3. WNT
4. RAS

Correct answer: 2. Sonic Hedgehog

Explanation: Answer- B. Sonic HedgehogBasal cell carcinomaLocally aggressive tumorAssociated with mutations which activate Hedgehog pathway signalling.Gorlin syndrome is associated with gene PTCH, a tumor suppressor genePTCh is receptor for Sonic hedgehog, which determines polarity during embryonic development.Basal cell carcinoma presents as pearly papules.